NOT true about Berry aneurysms:
1. Rupture leading to SAH
2. Most common in posterior circulation
3. Developmental anomaly
4. Common in anterior circulation

Correct answer: 2. Most common in posterior circulation

Explanation: Ans. Most common in posterior circulation